Glycerol is the backbone of all of the following phospholipids EXCEPT
1. Phosphatidylethanolamine
2. Cardiolipin
3. Phosphatidylcholine
4. Sphingomyelin

Correct answer: 4. Sphingomyelin

Explanation: Sphingomyelin = phosphorylcholine + ceramide Ceramide = fatty acid + sphingosine Sphingosine = condensing palmitic acid with a decarboxylated serine and then reducing the product Glycerol never is involved in the structure of sphingomyelin. Phosphatidylethanolamine, cardiolipin, phosphatidylcholine, and phosphatidylinositol are synthesized using phosphatidic acid as the basic building block Phosphatic acid is diacylglycerol with a phosphate ester on carbon three; therefore, glycerol is the backbone of all of these compounds. FAQ Sphingomyelin :- - Membranous myelin sheath that surrounds nerve cell axons. - It is the only sphingolipid NOT derived from Glycerol. - Associated with increased accumulation in Niemann-Pick Disease.